Bowen's disease is:
1. Mimics chronic dermatosis
2. Premalignant condition
3. Presents with pruritus
4. All of the above

Correct answer: 4. All of the above

Explanation: This is an SCC , of which 3-11% progress to SCC Etiological agents : Chronic solar damage , inorganic arsenic & HPV 16 This is rare, slow-growing intraepidermal SCC that often mimics a chronic dermatosis CLINICAL FEATURES It usually presents with pruritus & on examination looks like psoriasis or senile keratosis. Presents as a slowly enlarging , erythematous , scaly patch or plaque